Duration of pain is angina is -
1. 2-5 mins
2. 5-30 mins
3. 30-60 mins
4. > 1 hour

Correct answer: 1. 2-5 mins